Acute leukemia in children is associated with - all except-
1. Down's syndrome
2. Klinefelter's syndrome
3. Marfan's syndrome
4. Turner's syndrome

Correct answer: 3. Marfan's syndrome

Explanation: Ans. is 'c' i.e., Marfan's syndrome